Sexual stimulation obtained through some inanimate object is known as:
1. Transvestism
2. Fetichism
3. Voyeurism
4. Zoophilia

Correct answer: 2. Fetichism

Explanation: Ans. B i.e. Fetichism